Vitality test has to be done over a PFM crown, which is the best test to be done in order to check the vitality:
1. EPT.
2. Cold test.
3. Cavity test.
4. All of the above.

Correct answer: 2. Cold test.

Explanation: For PFM → EPT is contraindicated, instead cold test With CO2 snow/“TRIGIDENT “is a  test of Choice. (Temperature of dry ice/CO2 snow is–78ºC) .